Drug of choice for cytomegalovirus -
1. Acyclovir
2. Amantadine
3. Ganciclovir
4. Idoxuridien

Correct answer: 3. Ganciclovir